True about Ca colon -
1. 1/3rd of cases shows liver metastasis
2. Obstruction common in sigmoid colon
3. CEA is useful for prognostic importance
4. All

Correct answer: 4. All

Explanation: Answer 'a' i.e. 1/3rd of cases shows liver metastases; 'b' i.e. Obstruction common in sigmoid colon 'c' i.e. CEA is useful for prognostic importance